Most common presenting finding of multiple sclerosis is -
1. Intranuclear ophthalmoplegia
2. Optic neuritis
3. Transverse myelitis
4. Cerebellar ataxia

Correct answer: 2. Optic neuritis